Which area is out of the blood-brain barrier?
1. Thalamus
2. Cerebral cortex
3. 4th ventricle
4. Area postrema

Correct answer: 4. Area postrema

Explanation: Areas devoid of blood-brain barrier are Pineal gland,Posterior lobe of pituitary,Tuber cinerum Wall of supraoptic recess of third ventricle,Area postrema.These are the areas where the neuronal receptors sample the chemical contents of blood directly. (Ref: Vishram Singh textbook of clinical neuroanatomy, 2nd edition. Pg- 183)